Which disease does not cause AV nodal block?
1. chagas
2. cat scratch
3. Lyme disease
4. Toxoplasmosis

Correct answer: 2. cat scratch

Explanation: Ans. b. Cat scratchETIOLOGY OF AV BLOCKInfectious DiseaseEndocarditisLyme diseaseChagas diseaseSyphilisTuberculosisDiphtheriaToxoplasmosisFor more update see the explanation of Ques No-16 in NEET medicine pattern.